A  25-years old female complains of discharge of blood from a single duct in her breast. The most appropriate treatment is
1. Incision and drainage
2. Microdochectomy
3. Radical mastectomy
4. Antibiotics

Correct answer: 2. Microdochectomy

Explanation: This is a case of duct papilloma. Treatment is microdochectomy.